Commonest site of TB spine is-
1. C8-T2
2. T2-T6
3. T10-L1
4. L1-L4

Correct answer: 3. T10-L1